A 26yr old pregnant mother who had previous twin delivery visits ANC OPD for routine check up she is sure of her dates with 36 wks party what is the obstetric score
1. g3p1
2. g2p1
3. G2P2
4. G3P2

Correct answer: 2. g2p1

Explanation: REF : DUTTA 9TH ED